Cori’s cycle is another name for
1. Oxidative decarboxylation of pyruvate
2. HMP pathway
3. TCA cycle
4. Lactic acid cycle

Correct answer: 4. Lactic acid cycle

Explanation: It is a process in which glucose is converted to lactate in the muscle; and in the liver this lactate is re-converted into glucose.
Reference: Vasudevan 7th  ed, pg 114